Not true regarding Nodular Episcleritis:
1. Pink nodule
2. Self limiting
3. Recurring
4. Aggressive treatment is required

Correct answer: 4. Aggressive treatment is required

Explanation: Wait and watch is preferred mode as it is usually self resolving. Nodular Episcleritis Pink nodule Self limiting Recurring No treatment required or mild NSAID like ketorolac can be given.